Condition when jaw deviates to the Same side is/are:
1. TMJ ankylosis.
2. Hypoplasia of condyle.
3. Subcondylar fractures.
4. All of the above.

Correct answer: 4. All of the above.